Which of the following is false regarding Fibrolamellar Cascinoma of liver
1. It is a Variant of Hepatocellular carcinoma
2. AFP level is normal
3. Occurs in young adults
4. Worse prognosis

Correct answer: 4. Worse prognosis

Explanation: It has better prognosis.